Duces tecum is:
1. Summon
2. Panchnama
3. Conduct money
4. Hostile witness

Correct answer: 1. Summon

Explanation: Ans./ Summon